Most com mon cause of diarrhea in AIDS patients-
1. Salmonella typhimurium
2. Cryptosporidium
3. Candida
4. isophora

Correct answer: 2. Cryptosporidium

Explanation: Ans. is 'b' i.e., Cryptosporidium o Most common cause of diarrhea in HIV - Cryptosporidium.Diseases of Oropharynx and GI system in H.I.V.o These areOral lesions ; Thrush (oral candidiasis), oral Hairy leukoplakia (caused by EBV), and aphthous ulcer.Esophageal: Esophagitis by CMV, HSV or Candida.Diarrhea : Diarrhea is caused by :-o Bacteria : Salmonella, Shigella, Campylobacter, and mycobacteria avium intracellulare.o Fungal: Histoplasma, Coccidioides, penicillium.o Other : CMV, microsporidia, isospora belli, and Cryptosporidia,AIDS enteropathy (HIVenteropathy)